Graham Cole test refers to -
1. Oral cholecystography
2. Intravenous cholangiography
3. Pre-operative cholangiography
4. Post-operative cholangiography

Correct answer: 1. Oral cholecystography